KIM-1 is a novel biomarker for
1. Acute kidney injury
2. Chronic kidney injury
3. Renal cellular carcinoma
4. Renal metastasis

Correct answer: 1. Acute kidney injury

Explanation: Kidney injury molecule-1 (KIM-1) is a type 1 transmembrane protein that is abundantly expressed in proximal tubular cells injured by ischemia or nephrotoxins such as cisplatin. KIM-1 can be detected shortly after ischemic or nephrotoxic injury in the urine and, therefore, may be an easily tested biomarker in the clinical setting. Neutrophil gelatinase-associated lipocalin (NGAL, also known as lipocalin- 2 or siderocalin) is another novel biomarker of AKI. Other candidate biomarkers of AKI include interleukin (IL) 18, a proinflammatory cytokine of the IL-1 superfamily Ref: Harrison 19e 1808